The function of P cells of the kidney is
1. H+ secretion
2. K+ reabsorption
3. Na+ reabsorption
4. Cl- secretion

Correct answer: 3. Na+ reabsorption

Explanation: The principal cells reabsorb sodium and water from the lumen and secrete potassium ions into the lumen.